Special protein for motility of sperm is -
1. Actin
2. Myosin
3. Kinesin
4. Dynein

Correct answer: 4. Dynein

Explanation: Ans. is'd'i.e., Dynein"Sperm motility k based on the active sliding of microtubules by axonemal dyneins".